A woman G3P2 at 34 weeks of pregnancy has pain abdomen, uterine tenderness and bleeding per-vaginum. Her vitals are stable and has a regular fetal heart tracing. Which step of following is not required?
1. Amniotomy/prostaglandins to induce labour
2. Arrange for blood products
3. Intravenous crystalloids and colloids
4. Tocolysis to arrest labor.

Correct answer: 4. Tocolysis to arrest labor.

Explanation: The above case history is suggestive of Placental abruption. The definitive management is Termination of pregnancy along with resuscitation as early as possible due to increasing risk of maternal and fetal morbidity with time Route of termination should be decided depending upon maternal and fetal condition, bishops score and other obstetrical indications favouring a vaginal or cesarian delivery. so Tocolysis is not done for above mentioned case.